Intra-abdominal calcificaition in a plane X-ray abdomen is most often seen in -
1. Meconium ileus
2. Meconium peritonitis
3. Meconium plug syndrome
4. Necrotising enterocolitis

Correct answer: 2. Meconium peritonitis